A boy gets hit by a tennis ball in the eye following which he has complaintsof decreased vision. Which of the following tells that blunt injury is due to the ball?
1. Optic neuritis
2. Pars planitis
3. Vitreous base detachment
4. Equatorial edema

Correct answer: 3. Vitreous base detachment

Explanation: Anterior or posterior vitreous detachment can be seen in blunt trauma. Ref: AK Khurana 4thE pg 406